Which of the following is a dimorphic
1. Rhizopus
2. Sporothrix schenckii
3. Tinea versicolor
4. Microsporum

Correct answer: 2. Sporothrix schenckii

Explanation: Ans. is 'b' i.e., Sporothrix schenckii